Intra–epidermal lesions seen in – a) Pemphigus vulgarisb) Epidermolysis bullosa acquisitac) Dermatitis herpetiformisd) Bullous pemphigoide) Paraneoplastic pemphigus
1. a
2. b
3. ce
4. ae

Correct answer: 4. ae